Renal GFR is estimated by
1. TC99 DMCA
2. TC99DMSA
3. Tc99 DTPA
4. All

Correct answer: 3. Tc99 DTPA

Explanation: C i.e. Tc99 DTPA DTPA is freely filtered at globerulus with no tubular reabsorption or excretion. Thus its excretion rate measures GFRQ. DTPA Scan is useful for evaluation of perfusion and function of each kidneyQ. It is also indicated in Urinary tract obstructionQ, Renovascular cause of hypertensionQ and Renal transplant.Q DMSA scan is used to assess cortical functions of kidneyQ and morphology Q (Structure) Mn = "S".